Oduvanthalai poisoning is associated with:
1. Hypokalemia
2. Hyponatremia
3. Respiratory acidosis
4. Metabolic alkalosis

Correct answer: 1. Hypokalemia

Explanation: Ans. Hypokalemia